Cervical hostility is tested by following except:
1. Spinbarkeit
2. Post coital test
3. Miller kuzrole test
4. Keller test

Correct answer: 4. Keller test

Explanation: Post coital test and miller kurzrok test can detect cervical hostility as noted by rotatory/shaky movement of the sperm in post coital test, or < 3 cm of penetration of cervical mucus in 30 minutes in miller kurzrok test.
Spinbarkeit is basically a test for assessing ovulation: At the time of ovulation, the cervical mucus is thin and so profuse that the patient may notice a clear discharge, (called Normal ovulatory cascade). This ovulatory mucus has the property of great elasticity and will withstand stretching up to a distance of over 10 cm. This phenomenon is called spinbarkeit, or thread test for oestrogen activity. Under the influence of progesterone after ovulation mucus becomes thick and opaque and breaks on stretching i.e. hostile for sperms
Therefore, indirectly Spinbarkeit test can also detect cervical hostility.